Which of the following enzyme activity decrease in fasting?
1. Hormone sensitive lipase
2. Glycogen Phosphorylase
3. Acetyl CoA Carboxylase
4. CPS I

Correct answer: 3. Acetyl CoA Carboxylase

Explanation: Ans. C. Acetyl CoA CarboxylaseOption a, Hormone sensitive lipase increase in fasting.Option b, Glycogen phosphorylase, the rate limiting step of glycogenolysis will be active.But Acetyl CoA Carboxylase, the rate limiting step of fatty acid synthesis is inactive in fasting state.CPS I is not related to fed fast cycle.